The use of combined oral contraceptive pill is associated with an increased incidence of:
1. Bacterial vaginosis
2. Chlamydial endocervicitis
3. Vaginal was
4. Genital herpes

Correct answer: 2. Chlamydial endocervicitis

Explanation: There is an overall reduction in the incidence of PID with OCPs but Chlamydial PID may increase. This is classically an indolent PID where the patient has no pain, no discharge.